Surfactants are produced by:
1. Type 1 pneomocytes
2. Type 2 pneumocytes
3. Smooth muscle
4. Macrophages in alveoli

Correct answer: 2. Type 2 pneumocytes

Explanation: Surfactants are produced by type 2 epithelial cells(pneumocytes) of the alveoli Ref: Guyton and Hall textbook of medical physiology 12th edition, page number 320,321